The synovial bursa which commonly communicates with the cavity of the shoulder joint is
1. Subscapular bursa
2. Infraspinatus bursa
3. Subacromial bursa
4. Supraspinatus bursa

Correct answer: 1. Subscapular bursa

Explanation: The joint cavity communicates with the subscapular bursa, with the synovial sheath for the tendon of the long head of the biceps brachii, and often with the infraspinatus bursa.Ref: BD Chaurasia; Volume 1; 6th edition; Page no: 144